Codman's triangle is seen in –
1. Chondroblastoma
2. Osteosarcoma
3. Chandrosarcoma
4. GCT

Correct answer: 2. Osteosarcoma